The most important reason for retaining healthy roots and prescribing an over denture rather than extractions and a conventional complete denture is:
1. To preserve the alveolar bone
2. An over denture is easier to construct rather than a complete denture
3. The apparent ease with which the patient adapts to an over denture
4. To retain some degree of proprioception from the healthy periodontal Ligament of the roots

Correct answer: 1. To preserve the alveolar bone